In pylorus, Pancreatoduodenectomy preserving following is not resected
1. Pyloric antrum
2. CBD
3. Duodenum
4. None

Correct answer: 1. Pyloric antrum

Explanation: Answer- A. Pyloric antrumThe standard resection for a tumour of the pancreatic head or the ampulla is a pylorus-preserving pancreatoduodenectomy (PPPD).